All of the following are examples of traction epiphysis, EXCEPT:
1. Mastoid process
2. Condyles of tibia
3. Trochanter of femur
4. Tubercles of humerus

Correct answer: 2. Condyles of tibia

Explanation: Traction epiphysis is caused by the pull of muscles. Greater and lesser trochanter of femur, greater and lesser tubercle of humerus, medial and lateral epicondyles of humerus and mastoid process are all examples of traction epiphysis. Condyles of tibia is a type of pressure epiphysis.